The drug which is dangerous to take without medical supervision is
1. Schedule H
2. Schedule G
3. Schedule M
4. Schedule P

Correct answer: 2. Schedule G